All of the following statements are true about bacteriophage except -
1. It is virus that infect bacteria
2. It helps in transduction of bacteria
3. It imparts toxigenicity to bacteria
4. It transfer only chromosomal gene

Correct answer: 4. It transfer only chromosomal gene

Explanation: Phage transmit genetic information REF:
MICROBIOLOGY ANANTHA NARAYANAN NINTH EDITION PAGE.458